First line treatment of trigeminal neuralgia is:
1. Neurectomy.
2. Carbamazepine.
3. Regional nerve block.
4. Radiofrequency.

Correct answer: 2. Carbamazepine.